All of the following are disorders of hypopigmentation except:
1. Albinism
2. Piebaldism
3. Nevus of Ota
4. Nevus achromicus

Correct answer: 3. Nevus of Ota

Explanation: Nevus of Ota is characterized by hyperpigmented patches over the distribution of ophthalmic and maxillary divisions of trigeminal nerve.